Which of the following drugs act against Pseudomonas?
1. Nafcillin
2. Cloxacillin
3. Methicillin
4. Piperacillin

Correct answer: 4. Piperacillin